Movement across socioeconomic levels is termed as:
1. Social equality
2. Social upliftment
3. Social mobility
4. Social insurance

Correct answer: 3. Social mobility

Explanation: Ans. C i.e. Social mobility Social mobility It is the mo iement of individuals or groups in social standing social position It may refer to classes, ethnic groups, or entire nations, and may measure health status, literacy, or education - but more commonly it refers to individuals or families, and their change in income. It also typically refers to vertical mobility -- movement of individuals or groups up (or down) from one socio-economic level to another, often by changing jobs or marriage; but can also refer to horizontal mobility --movement from one position to another within the same social level.